Fixed PR interval with occasional dropped beats in 2:1, 3:1 or 4:1 pattern with wide QRS complex is seen in:
1. Wenckebach
2. Mobitz type II
3. WPW syndrome with reentrant tachycardia
4. Complete heart block with atrial fibrillation

Correct answer: 2. Mobitz type II

Explanation: Type 1 Second-degree AV block, (Mobitz Type I) Wenckebach periodicity characterized by progressive prolongation of the PR interval followed by a blocked P wave (i.e., a 'dropped' QRS complex). After the dropped QRS complex, the PR interval resets and the cycle repeats. Mobitz II heart block is characterized intermittently nonconducted P waves not preceded by PR prolongation and not followed by PR shortening. Ref: Harrison, Edition 18, Page -1871